Regulation of synthesis of ketone bodies is done by
1. Beta hydroxyl beta methyl glutaryl CoA synthase
2. Beta hydroxybutyrate
3. Acetyl CoA
4. None of the above

Correct answer: 1. Beta hydroxyl beta methyl glutaryl CoA synthase

Explanation: 3 molecules of acetyl CoA are condensed to form β-hydroxy β-methyl glutaryl CoA (HMG CoA). HMG CoA synthase, catalyses this reaction, thus regulates the synthesis of Ketone bodies.